Dermoepidermal burn is what degree of burn -
1. I
2. II
3. III
4. IV

Correct answer: 2. II

Explanation: Ans. is 'b' i.e., II * Burn depth is an important topic and repeatedly asked.* Burns are classified according to increasing depth in 2 ways :1) Into degrees i.e. 1st degree to IVth degree burn2) Into a less precise classification i.e. Shallow & Deep burns. * Thus dermoepidermal burns are Superficial II degree burns.